Three point bony relationship Of the elbow is disturbed
1. Supracondylar fracture of humerus
2. Fracture lateral Condyleof humerus
3. Monteggia fracture dislocation
4. Fracture of proximal radius

Correct answer: 2. Fracture lateral Condyleof humerus

Explanation: Fracture lateral condyle of the humerus Three point bony relation ship of elbow Fracture of medial or lateral and condyke/epicondyle/intercanglylar area Fracture of olecranon Elbow dislocation Refer Kenneth A Evil 4th p 609